"Sunray appearance" on X-ray is suggestive of -
1. A chondrosarcoma
2. A metastatic tumour in the bone
3. An osteogenic sarcoma
4. An Ewing's sarcoma

Correct answer: 3. An osteogenic sarcoma

Explanation: Ans. is 'c > b & d' i.e., An osteogenic sarcoma > 'b' i.e., A metastatic tumour in the bone & 'd' i.e.,An Ewing's sarcoma o Sunray appearance is classically seen in osteosarcoma. It may also occur in metastases, Ewings sarcoma, Haemangioma, Meningioma and tuberculosis,o Codman's triangle is characteristically seen in osteosarcoma. It may also be seen in Ewing's sarcoma and osteomyelitis. Characteristic radiological features of few bone tumorso Celery-stick appearanceEnchondromaso Coat-hanger appearanceOsteochondromao Codman tumor and chicken-wire calcificationChondroblastomao Double density sign on radionuclide scanOsteoid osteomao Nidus and sclerotic rimOstoid osteomao "Driven snow" appearancePindborg tumoro Fallen fragment/Hinged fragment signSimple (unicameral) bone cysto "Eggshell" covering of expansile cortex over surface of lesionABCo 'Soap bubble' appearance.ABCo Soap bubble appearance (& goes into corners)GCT (Osteoclastoma)o 'Floating tooth' signEosinophilic granuloma, adamantinomao Onion skin (onion peel) appearanceEwing sarcomao Skip lesionsOsteosarcoma, Ewings sarcomao 'Sunray/Sunburst' appearanceOsteosarcomao String sign (to differentiate from myositis ossificans)Parosteal osteosarcomao Popcom/mottled calcificationChondrosarcomao Shepherd's crook deformityFibrous dysplasia* Codman's triangleOsteosarcoma, Ewing sarcomao Winking owl signMetastasis to pedicles of vertebrao Corduroy/accordian vertebra/vertical striationsVertebral hemangiomao Polka dot sign on CTVertebral hemangiomao Geographical skullEosinophilic granulomao Hole-within-a-hole lesionEosinophilic granuloma